Which among the following classification of Malnutrition is independent of weight of the child?
1. Waterlow lowi? 1/2 o cai? 1/2 {Ci? 1/2 UDon of Malnutrition is independent of weight of the child?
2. Gomez
3. WHO
4. McLaren

Correct answer: 4. McLaren

Explanation: McLaren REF: Nelson 17th edition page 59 Table 15-1, McLaren's classification (Kanawati AA, McLaren DS) is based on ratio of Mid-arm Circumference to Head Circumference. Ratio <0.25 indicates severe malnutrition. CLASSIFICATION OF MALNUTRITION IN CHILDREN: McLaren's classification (Kanawati AA, McLaren DS) Mid arm-head circumference ratio Interpretation > 0.310 Normal 0.310-0.280 Grade I: mild malnutrition 0.279-0.250 Grade II: moderate malnutrition < 0.250 Grade III: severe malnutrition Gomez Classification: The child's weight is compared to that of a normal child (50th percentile) of the same age. It is useful for population screening and public health evaluations. Percent of reference weight for age = ((patient weight) / (weight of normal child of same age)) x 100 Percent of reference weight for age Interpretation 90-110% Normal 75-89% Grade I: mild malnutrition 60-74% Grade II: moderate malnutrition < 60% Grade III: severe malnutrition III.Wellcome Classification: evaluates the child for edema and with the Gomez classification system. Weight for Age (Gomez) With Edema Without Edema 60-80% kwashiorkor Undernutrition < 60% marasmic-kwashiorkor Marasmus III. Waterlow Classification/ WHO Classification: Chronic malnutrition results in stunting. Malnutrition also affects the child's body proportions eventually resulting in body wastage. Percent weight for height = ((weight of patient)/(weight of a normal child of the same height)) x 100 Percent height for age = ((height of patient)/(height of a normal child of the same age)) x 100 Weight for Height (wasting) Height for Age (stunting) Normal > 90 > 95 Mild 80-90 90-95 Moderate 70-80 85-90 Severe < 70 < 85